Menopause is diagnosed by
1. Estradiol >20 pg/ml
2. Progesterone <40 ng/dl
3. FSH>40 IU/L
4. LH<20 IU/L

Correct answer: 3. FSH>40 IU/L

Explanation: Menopause - Permanent cessation of mensturation. Clinical diagnosis- Stoppage of menses for 1 year without any other pathology Cessation of menses before the age of 40 is known as premature ovarian failure Investigation- Increase FSH> 40mIU/ml ( 3 values at weekly interval required) LH>20 IU Estradiol <20 pg Vaginal cytology: maturation index : 10/85/5